The connecting vein between facial vein and cavernous sinus is:
1. Superior ophthalmic vein
2. Inferior ophthalmic vein
3. Connecting pterygoid plexus
4. None of the above

Correct answer: 1. Superior ophthalmic vein